Which of the following is/are the source/sources of methane, a greenhouse gas?
1. Cattle
2. Rice fields & Wetlands
3. Cattle and rice fields
4. Cattle, rice fields and Wetlands

Correct answer: 4. Cattle, rice fields and Wetlands

Explanation: Most of Earth's methane is biogenic and is produced by methanogenesis, form of anaerobic respiration only known to be conducted by some members of the domain Archaea. Methanogens occupy landfills and other soils,ruminants (for example cows or cattle), the guts of termites, and the anoxic sediments below the seafloor and the bottom of lakes. Rice fields also generate large amounts of methane during plant growth. Ref: Internet